ECV is absolutely contraindicated in all except
1. Previous LSCS scar
2. Severe preeclampsia
3. Placenta previa
4. Septate uterus

Correct answer: 1. Previous LSCS scar

Explanation: Absolute contraindications for ECV Placenta previa Multiple pregnancies IUGR history of antepartum hemorrhage Severe preeclampsia Rupture of membranes Uterine malformations